Polar amino acids are all except
1. Glutamic acid
2. Histidine
3. Glutamine
4. Methionine

Correct answer: 4. Methionine

Explanation: Amino acids having charged or ionic polar side chains (hydrophilic): C-a. Acidic amino acids: They have a negative charge on the R group: Aspartic acid and Glutamic acid (Tyrosine is mildly acidic). C-b. Basic amino acids: They have a positive charge on the R group: Lysine, Arginine, and Histidine.Ref: DM Vasudevan - Textbook of Biochemistry, 6th edition, page no: 21